Which of the following is used as an adjuvant therapy for fungal corneal ulcer?
1. Atropine eye drops
2. Pilocarpine eye drops
3. Dexamethasone
4. Lidocaine

Correct answer: 1. Atropine eye drops

Explanation: Atropine is a cycloplegic drug and is used as adjuvant therapy in fungal corneal ulcer as :-. Reduces pain from ciliary spasm Prevent formation of synechiae Reduce inflammation Reduces exudation Pilocarpine will cause miosis and increase the pain and thus not used. Dexamethasone is absolutely contraindicated in fungal corneal ulcer as it may cause perforation. Lidocaine is local anesthetic and will impair healing and hence not used.